The adenocarcinoma of esophagus-develops in
1. Barret's esophagus
2. Long standing achalasia
3. Corrosive structure
4. Alcohol abuse

Correct answer: 1. Barret's esophagus

Explanation: In barrett's esophagus there is a metaplastic change in the esophageal mucus membrane. The resulting columnar epithelium is susceptible to the development of the adenocurcinoma. The risk of developing adenocarcinoma inBarret's esophagus is 50-100 time, that of general population. If 100 patients with Barrett's esophagus are followed prospectively for one year, one adenocarcionom can be expected in that group.Alcohol abuse, achalasia, lye stricture and smoking are all risk factors for the development of squamous carcinoma of the esophagus.